In lobstein disease or brittle bone disease defect occurs in:
1. Type 1 collagen
2. Type 2 collagen.
3. Type 4 collagen.
4. Type 6 collagen.

Correct answer: 1. Type 1 collagen

Explanation: Osteogenesis imperfecta is also known as lobstein disease in which defect occurs in type 1 collagen.